Complete failure of mullerian duct fusion will result in
1. Uterus didelphys
2. Arcuate uterus
3. Subseptate uterus
4. Bicornuate uterus

Correct answer: 1. Uterus didelphys